Most biocompatible material in oral cavity is:
1. Platinum
2. Palladium
3. Titanium
4. Gold

Correct answer: 3. Titanium